Chi square test is used for?
1. Association between two variables
2. Correlation between two variables
3. Mean comparison of two group
4. S.D. of two variables

Correct answer: 1. Association between two variables